Thrombaxane A2 synthase inhibition is by which of the following drug :
1. Aspirin
2. Prednisolone
3. Dazoxiben
4. Naproxen

Correct answer: 3. Dazoxiben

Explanation: Ans is 'c' Dazoxiben (Ref KDT, 4/e, p. 613). All the given drugs can inhibit Thromboxane A2 synthesis but only Dazoxiben can inhibit Thrombaxin A2 synthase .